Haemopoietic malignancy is been in -  a) HTLV- 1  b) EBV  c) Parvo B19  d) HHV - 8  e) CMV
1. abd
2. ac
3. bd
4. abc

Correct answer: 1. abd